9th month immunization given is -
1. Measles
2. DPT
3. BOG
4. All

Correct answer: 1. Measles

Explanation: Ans. is 'a' i.e., Measles National Immunization Schedule (NIS) for infants, children and pregnant women (India)VaccineWhen to giveDoseRouteSiteFor Pregnant WomenTT-1Early in pregnancy0.5 mlIntra-muscularUpper armTT-24 weeks after TT-1 *0.5m3Intra-muscularUpper armTT-BoosterIf received 2 TT doses in a pregnancy within the last 3 years03mlIntra-muscularUpper armFor InfantsBCGAt birth or as early as possible till one year of age0.1ml (0.05 ml until 1 month age)Intra-muscularLeft upper armHepatitis BAt birth or as early as possible within 24 hours0.5 mlIntra-muscularAntero-lateral side of mid-thighOPV-OAt birth or as early as possible within the first 15 day2 dropsOralOralOPV 1,2&3At 6 weeks, 10 weeks & 14 weeks2 dropsOralOralDPT 1,2&3At 6 weeks, 10 weeks & 14 weeks0.5mlIntra-muscularAntero-lateral side of mid-thighHepatitis B 1,2 & 3At 6 weeks, 10 weeks & 14 weeks0.5mlIntra-muscularAntero-lateral side of mid-thighMeasles9 completed months 12 months (give up to 5 years if not received at 9-12 months age)0.5 mlSub-cutaneousRight upper armVitaminA (1st dose)At 9 moths with measlesLnd (1 lakhIU)OralOralFor ChildrenDPT booster16-24 months0.5 mlIntra-muscularAntero-lateral side of mid-thighOPV booster16-24 months2 dropsOralOralMeasles (2nd dose)16-24 months0.5 mlSub-cutaneousRight upper armJapanese Encephalitis**16-24 months with DPT/OPV booster0.5 mlSub-cutaneousLeft upper armVitaminA*** (2nd to 9th dose)16-24 months with DPT/OPV booster. Than one dose every 6 months up to the age of 15 years2 ml (2 lakhIU)OralOralDPT booster5-6 years0.5 mlIntra-muscularUpper armTT10 years & 16 years0.5 mlIntra-muscularUpper arm* Give TT-2 or booster doses before 36 weeks of pregnancy. However, give these even if more than 36 weeks have passed. Give TT to a woman in labour, if she has not previously received TT.** SA 14-14-2 vaccine, in select endemic districts of the Uttar Pradesh, West Bengal, Karnataka and Assam.*** The 2nd to 9th doses of Vitamin A can he administered to children 1-5 years old during biannual rounds, in collaboration with 1CDS.**** In select states, districts and cities.Note : (a) Interval between 2 doses of DPT, OPV and hepatitis B should not be less than one month.Minor cough, cold and mild fever are not contraindication to vaccination.If the child has diarrhoea, give a dose of OPV, but do not count the dose and ask the mother to return in 4 weeks fen the missing dose.